On SAFE strategy false is -
1. Screening
2. Antibiotics
3. Facial hygiene
4. Environmental modification

Correct answer: 1. Screening

Explanation: Blindness From Trachoma Can e Stopped At Four Different points : SAFE
S -  Surgical correction for trichiasis. It is a simple operation that can turn out lashes which are scratching the cornea. Patients can be operated on in a local dispensary or health center, or other community space if properly prepared.The surgical procedure can be performed by those who have had surgical training : eye doctors, eye nurses or eye care assistants.
A -  Antibiotic treatment of people with active trachoma infection.
Regular detection and treatment of people with active trachoma is important. The recommended treatment is as
Follows:

Wash the face and clean the eyes
Apply tetracycline 1% ointment to both eyes two times daily for six weeks
The ointment is sticky and may blur the vision for a few moments. This will only last a few moments. If possible, treat all the children in the family.

F -  Clean Faces
Families and individuals can do something to protect themselves from infection by increasing the number of times a child washes his/her face. Regular face washing removes discharge so that flies are not attracted to faces. It does not require great quantities of water : one liter of water can wash up to 30 faces.
E -  Environmentallmprovement